Earliest change in high altitude is
1. Hyperventilation
2. Decrease in work capacity
3. Drowsiness
4. Polycythemia

Correct answer: 1. Hyperventilation

Explanation: Immediate exposure to low PO2 stimulates the arterial chemoreceptors, and this stimulation increases alveolar ventilation to a maximum of about 1.65 times normal. Therefore, compensation occurs within seconds for the high altitude, and it alone allows the person to rise several thousand feet higher than would be possible without the increased ventilationGuyton 13 e pg: 563